Golden period of eye donation ?
1. 6 hours
2. 12 hours
3. 18 hours
4. 24 hours

Correct answer: 1. 6 hours

Explanation: Ans. is 'a' i.e., 6 hours "Donor corneas are harvested from cadaveric donors within 6 hours after death, sometimes up to 12 hours after death in countries with cold climates".